Gastric lavage is contraindicated in poisonings with:
1. Kerosene poisoning
2. Organophosphorus
3. Arsenic
4. Morphine

Correct answer: 1. Kerosene poisoning

Explanation: Ans A (Kerosene...) Gastric lavage is C/l in kerosene poisoing"Gastric evacuation for pure petroleum distillate or turpentine ingestion is not recommended" - Reddy 27th/522Gastric Lavage (G. L)-C/I or PrecautionsThe only absolute C/l forG.L. is corrosive poisoning (except carbolic acid), owing to the danger of perforationIn following conditions - stomach wash can be done by taking proper precautionsConvulsant poisons*3 - As it may lead to convulsion, lavage should be done after controlling convulsionComatose patient^ - There is risk of aspiration of fluid into the air passage. The airway should be sealed by cuffed endotracheal tube(8 to 9 no.) & then lavage doneVolatile poisonQ - Which may be inhaledUpper alimentary12 disease - Like oesophageal variesIn patient with marked hypothermia & haemorrhagic diasthesisGASTRIC LAVAGEIt is useful any time within 3hr Q after ingestion of poison (Reddy)It is life saving if undertaken within 4-6 hr after ingestion of poison (Parikh)GL most effective if done within 2-3 hr after ingestion of poison (modi)In case of irritent poison, the stomach should be passed with caution (modi)As poisoning - "Stomach should be repeatedly washed by warm water & milk" (Reddy 27th/473Morphine poisoning - Wash stomach with 1:5000solution of KMnO4" (Reddy 27th/516) Datura poisoning -" Wash stomach repeatedly with a weak solution of tannic acid" (Reddy 27th/533)Organophosphorus poisoning - "Stomach should be washed with 1: 5000 KMnO4 solution" (Reddy 27th/459)